Localised idiopathic fibrosis is seen in all of the following except-
1. Riedel's struma
2. Hypertrophic scar
3. Sclerosing cholangitis
4. Panniculitis

Correct answer: 2. Hypertrophic scar